Which of the following is not a feature of fetal alcohol syndrome ?
1. Microcephaly
2. Low intelligence
3. Large proportionate body
4. Intrauterine growth retardation

Correct answer: 3. Large proportionate body